Which of the following reaction is due to lipid peroxidation ?
1. Saponification
2. Rancidity
3. Hydrogenation
4. Soap formation

Correct answer: 2. Rancidity

Explanation: Ans. is 'b' i.e., Rancidity Peroxidation (auto-oxidation) of lipids exposed to oxygen is responsible not only for deterioration of foods (rancidity) but also for damage to tissues in vivo. Lipid peroxidation is a chain of reaction generating free radicals that initiate further peroxidation.